Underwater autopsy of the heart is done in?
1. Air embolism
2. Myocardial Infarction
3. Pulmonary thromboembolism
4. CVA

Correct answer: 1. Air embolism

Explanation: ANSWER: (A) Air embolismREF: Official gazette of the Council of Europe by Council of Europe Page 6Indirect repeat in December 2010Indirect repeat in December 2010If there is suspicion of air embolism, pre-autopsy radiology ofthorax must be performed. The first stage of autopsy in such cases is careful partial opening of thorax and dislocation of lower three quarter of sternum with subsequent opening of heart under water allowing the measurement and sampling of escaping gas.